Allergic rhinitis treatment include all except -
1. Antibiotics
2. Avoiding allergen
3. Corticosteroids
4. Surgery

Correct answer: 1. Antibiotics